A cook prepares sandwitches for 10 people going for picnic. Eight out of them develop severe gastroenteritis within 4-6 hrs of consumption of the sandwitches. It is likely that on investigations the cook is found to be the carrier of -
1. Salmonella typhi.
2. Vibrio cholerae
3. Entamoeba histolytica
4. Staphylococcus aureus

Correct answer: 4. Staphylococcus aureus